Apparent volume of distribution of a drug exceeds total body fluid volume, if a drug is -
1. Sequestrated in body tissues
2. Slowly eliminated from body
3. Poorly soluble in plasma
4. Poorly bound to plasma protein

Correct answer: 1. Sequestrated in body tissues

Explanation: Ans. is 'a' i.e., Sequestrated in body tissues o Drug may have volume of distribution for in excess of total body water if it is sequestered in other tissues because most of the drug is present in tissues and plasma concentration is low.